The discovery of "gene transformation" came from the study of one of the following bacteria ?
1. Bacillus subtilis
2. Streptococcus pyogenes
3. Streptococcus pneumoniae
4. Escherichia coli

Correct answer: 3. Streptococcus pneumoniae

Explanation: Ans. is 'c' i.e., Streptococcus pneumoniae